Working end of cryer elevator is placed at
1. Junction of interseptal bone and mesiobuccal portion of root
2. Over the interradicular bone
3. Distobuccal root
4. Between the teeth and gingiva

Correct answer: 2. Over the interradicular bone